Which of the following is not found in meningococci
1. Capsule
2. Lipopolysacchride
3. Plasmid
4. Pili

Correct answer: 3. Plasmid

Explanation: Plasmid